All of the following drugs are contraindicated in patients with G-6-PD deficiency, except
1. Furazolidone
2. Cotrimoxazole
3. Ceftriaxone
4. Nalidixic acid

Correct answer: 3. Ceftriaxone

Explanation: G-6PD deficiency is responsible for haemolysis with primaquine and other oxidizing drugs. Haemolysis is severe in homozygous deficient individuals of certain genotypes. Important drugs reported to cause haemolysis in G-6PD deficient subjects are listed Ref:- kd tripathi; pg num:-65,66